Classic triad of congenital rubella includes all except?
1. Cataract
2. Deafness
3. Retinitis
4. CHD (congenital heart disease)

Correct answer: 3. Retinitis

Explanation: Ans. is 'c' i.e., RetinitisThe classic triad for congenital rubella syndrome is: Sensorineural deafness (58% of patients) Eye abnormalities -- especially retinopathy, cataract, and microphthalmia (43% of patients) Congenital heart disease -- especially pulmonary artery stenosis and patent ductus arteriosus (50% of patients).